False statement about alagille syndrome
1. Complete absence of bile ducts
2. Normal liver
3. Mutations in Jagged 1 gene
4. No Risk of hepatocellular carcinoma

Correct answer: 4. No Risk of hepatocellular carcinoma

Explanation: Ans. (d) No Risk of hepatocellular carcinoma(Ref: Robbins 9th/pg 853; 8th/pg 854)Alagille Syndrome (Syndromic Paucity of Bile Ducts; Arteriohepatic Dysplasia)An autosomal dominant disorder characterized by absence of bile ducts in portal tracts.Caused by mutations or deletion of gene encoding Jagged 1, on chromosome 20p.Patients can survive into adulthood but are at risk for hepatic failure & hepatocellular carcinomaMajor clinical features:#Chronic cholestasis#Peripheral pulmonary artery stenosis#Butterfly-like vertebral arch defects#An eye defect known as posterior embryotoxon,#A peculiar hypertelic, triangular facies.